A disease which only affects the formation and eruption of tooth but does not cause hypoplasia is:
1. Hypoparathyroidism
2. Hyperthyroidism
3. Rickets
4. Syphilis

Correct answer: 2. Hyperthyroidism